'Frog eyes' appearance on USG is seen in :
1. Spina bifida
2. Anencephaly
3. Cleft lip & palate
4. Down syndrome

Correct answer: 2. Anencephaly

Explanation: FROG EYE SIGN Anencephaly on ultrasound On coronal ultrasound, the absence of the calvaria coupled with prominent orbits gives the fetus the 'frog eye' sign